Which intravenous fluid contains maximum potassium and is the preferred fluid for the treatment of hypokalemia?
1. Ringer lactate
2. Isolyte-P
3. Isotonic saline
4. Isolyte-M

Correct answer: 4. Isolyte-M

Explanation: Ans. D. Isolyte -MIsolyte-M has the maximum potassium 35 mEq/L content and is very useful to treat hypokalemia provided the renal status is normal.Sodium concentration of various intravenous fluidsIntravenous fluidsIsotonic salineRinger's lactate0.45% salineIsotyte-GIsolyte-MIsolyte-PNa(mq/L)154130.0776340253%NaCl2ml=1mEqNa,7.5%NaHCO3 10ml=9mEqNa Potassium concentration of intravenous fluidsIntravenous fluids Isolyte-MIsolyte-PIsolyte-GRinger'slactateKCl (15%) AmpK(mEq/L)35.020.017.04.020mEq/10ml Characteristics of intravenous fluidsCharacteristicIntravenous fluidsCharacteristicIntravenous fluidsMost physiologicalRLGlucose freeSaline. RLRich in sodiumNS. DNS. RLSodium freeDextrose solutionsRich in chlorideNS. DNS. Iso-GPotassium freeNS/DNS. dextrose solutionRich in potassiumIso-M. P and GAvoid in liver failureRL, Iso-G. 5% DCorrects acidosisRL. all isolyte Except Iso-GAvoid in renal failureNS. RL. all isotyteCorrects alkalosisIsolyte-G, NSProvides phosphorousIsolyte-M